Insulin resistance in pregnancy is due to -
1. Estrogen
2. Progesterone
3. HPL
4. All of the above

Correct answer: 4. All of the above

Explanation: All of the above